Which of the following is not a  feature of focal motor seizure
1. Todd’s paralysis
2. Jacksonian march
3. Epilepsia partialis continua
4. Ictal cry

Correct answer: 4. Ictal cry

Explanation: Ictal cry is a feature of generalized tonic clonic seizure